Most Common congenital GI Tract anamoly is -
1. Meckels diverticulum
2. Patent rachus
3. Ileal atresia
4. Jejunal aplasia

Correct answer: 1. Meckels diverticulum

Explanation: Ans. is 'a' i.e., Meckels diverticulum * Meckel's diverticulum is a true diverticulum as it has all the 3 layers of the intestine.* It's the most common congenital anomaly of the gastrointestinal tract.